Name the extra ocular muscle which is NOT arising from the apex of orbit?
1. Superior rectus
2. Superior oblique
3. Inferior rectus
4. Inferior oblique

Correct answer: 4. Inferior oblique

Explanation: All the extra ocular muscles except inferior oblique arise from the apex of orbit. Inferior oblique arises from lower and inner orbital walls near the lacrimal fossa and inserts in the sclera below and lateral to the posterior pole of the globe. Ref: Parsons' 21st / Pg. 393.